Which of the following is not a function of aqueous humor?
1. Maintenance of IOP
2. Providing nutrition to retina
3. Transparency of eye
4. Drainage

Correct answer: 2. Providing nutrition to retina

Explanation: It provides nutrition to the cornea and lens and not the retina. Functions of aqueous humor: Maintenance of IOP Nutrition to lens and cornea Maintaining transparency of eye Clearing the eye of toxins